Injury to popliteal artery in fracture lower end of the femur can be caused by
1. Proximal fragment
2. Muscle haematoma
3. Distal fragment
4. Tissue swelling

Correct answer: 3. Distal fragment

Explanation: In distal third shaft fracture or supracondylar femur fracture, the distal fragment is tilted backward due to strong gastrocnemius pullThis posteriorly tilted distal fragment can cause popliteal artery injury (Refer: Mohindra's Fundamentals of Orthopedics, 2nd edition, pg no. 125, 496)